Extramammary paget's is seen in?
1. Uterus
2. Vulva
3. Vagina
4. Ovary

Correct answer: 2. Vulva

Explanation: Ans. (b) Vulva(Ref: Robbins 9th ed p 999)Extramammary Paget's is rare lesion of the vulva is similar in its manifestations to Paget disease of the breast. In the vulva, it presents as a pruritic, red, crusted, maplike area, usually on the labia majora. aget disease is a distinctive intraepithelial proliferation of malignant cells. Paget cells are larger than surrounding keratinocyte and are seen singly or in small clusters within the epidermis. The cells have pale cytoplasm containing mucopolysaccharide that stains with periodic acid-Schiff (PAS), Alcian blue, or mucicarmine stains. In addition, the cells express cytokeratin 7.